The following muscles are supplied by radial nerve below the spiral groove except:
1. Brachialis
2. Brachioradialis
3. Extensor carpi radialis longus
4. Anconeus

Correct answer: 4. Anconeus

Explanation: Ans: D (Anconeus) Ref: Gray's Anatomy:Anatomical basis of clinical practice by Susan Standring, Churchill Livingstone, 40th edition, 2008, Pg. 829,837Explanation:Radial Nerve (C5678T1)Above elbowBelow elbow* Above spiral groove :- Triceps (long, medial head)- Posterior cutaneous nerve of arm* In spiral groove : Sensory- Posterior cutaneous nerve of forearm- Lateral cutaneous nerve of arm* Anconeus- Triceps (medial and lateral heads)* Between spiral groove and lateral epicondyle- Brachialis- Brachioradnalis- Extensor carpi radialis longus* Posterior interosseous nerve supply remaining Ms. i.e.- Abductor pollicis longus- Extensor pollicis longus and brevis- Extensor indicis* Supinator- Extensor digitorum- Extensor digit, minimi- Extensor carpi ulnaris- Extensor carpi radialis brevis